GnRH is a
1. Peptide
2. Amine
3. Steroid
4. Lipid

Correct answer: 1. Peptide

Explanation: Gonadotropin-releasing hormone is a releasing hormone responsible for the release of follicle-stimulating hormone and luteinizing hormone from the anterior pituitary. GnRH is a tropic peptide hormone synthesized and released from GnRH neurons within the hypothalamus Ref: guyton and hall textbook of medical physiology 12 edition page number:550,551,552